Golgi receptors
1. Inhibited by stretching of muscle
2. Stimulated by stretching of muscle
3. Both
4. None

Correct answer: 2. Stimulated by stretching of muscle

Explanation: (B) Stimulated by stretching of musc\e